Most common site of otosclerosis is:
1. Round window
2. Oval window
3. Utricle
4. Ossicles

Correct answer: 2. Oval window

Explanation: The most common location of involvement of otosclerosis is the bone just anterior to the oval window at a small cleft known as the fissula ante fenestram.